Theme of Declaration of Oslo is ?
1. Euthanasia
2. Torture
3. Therapeutic abortion
4. Hippocrates oath

Correct answer: 3. Therapeutic abortion

Explanation: Declaration of Oslo is related to Therapeutic abortion